Which of the following is associated with hypothyroidism Is sub Himalayan region?
1. Cu
2. Fe
3. Zinc
4. Selenium

Correct answer: 4. Selenium

Explanation: Answer is option 4 Selenium Hypothyroidism in Himalayan region is associated with iodine deficiency and selenium deficiency. Selenium forms part of seleno-enzyme responsible for converting T4 to T 3 . In Himalayan areas alps andes flooded river areas are deficient with iodine and it is further worsened by selenium deficiency.